Not true about Rhinosporidiosis is
1. Can be cultured on Sabouraud's dextrose Agar
2. Fungal Spherules in biopsy
3. Bleeds to touch
4. Most common site is Nose

Correct answer: 1. Can be cultured on Sabouraud's dextrose Agar

Explanation: Rhinosporidum seeberi cannot be cultured on sabaroud dextrose agar . So it is also classified as an aquatic protozoa. Fungal spherules containing endospores are seen on Biopsy Lesion bleeds on touch As the name suggests ,the most common site is nose fig:-Rhinosporadiosis in Nose (A),Fungal spherules (B)on histopath